Menier's disease characterized by all EXCEPT :
1. Diplopia
2. Tinnitus
3. Vertigo
4. Fullness of pressure in ear

Correct answer: 1. Diplopia

Explanation: Ans. is 'a' i.e. . Diplopia Meniere's disease (also k/a endolymphatic hydrops)Main pathology is distention of the endolymphatic system due to increased volume of endolymph.Cardinal symptoms:Episodic vertigoFluctuating hearing lossTinnitusSense of fullness or pressure in the involved ear.Diplacusis is seen in Meniere's disease*Patients of Meniere's ( or infact every cochlear Lesion) are poor candidates for hearing aids because of recruitment phenomenon seen in them *.